Gastrointestinal enteritis necroticans is caused by-
1. Clostridium difficile
2. Clostridium perfringens
3. Cl. botulinum
4. C. Jejuni

Correct answer: 2. Clostridium perfringens